An African-American patient shows a radiolucent area surrounding the apices of mandibular anterior teeth which are vital. The most probable diagnosis is
1. Periapical abscess
2. Periapical granuloma
3. Periapical cemental dysplasia
4. Condensing osteitis

Correct answer: 3. Periapical cemental dysplasia